Diagnostic serum markers in Down's syndrome are all except -
1. Free oestriol
2. Alpha feto protein
3. HCG
4. Progesterone

Correct answer: 4. Progesterone